A student has just completed her hepatitis B vaccine series. On reviewing her lab studies, you except
1. Positive test for HBsAg
2. Anti -HBS alone
3. Anti -HBC
4. Antibody against both surface and core antigen

Correct answer: 2. Anti -HBS alone